Ipsilateral VI & VII nerve palsy with contralateral hemiplegia is known as
1. Weber's syndrome
2. Millard Gubbler syndrome
3. Lateral medullary syndrome
4. Benedict's syndrome

Correct answer: 2. Millard Gubbler syndrome

Explanation: Site of disease: PonsArtery involved is AICAStructure involved are: 6th and 7th cranial nerve and corticospinal tract, so patient presents with ipsilateral 6 & 7 cranial nerve palsy and contralateral hemiparesis.